Cancer cells derive nutrition from
1. Glycolysis
2. Oxidative phosphorylation
3. Gluconeogenesis
4. Glycogenolysis

Correct answer: 1. Glycolysis

Explanation: In fast-growing cancer cells, glycolysis proceeds at a high rate, forming large amounts of pyruvate, which is reduced to lactate and exported. This produces a relatively acidic local environment in the tumor, which may have implications for cancer therapy. The lactate is used for gluconeogenesis in the liver, an energy-expensive process, which is responsible for much of the hypermetabolism seen in cancer cachexia. Reference: Harper; 30th edition; Page no: 168